Serum C3 is persistently low in the following except?
1. Post streptococcal glomerulonephritis
2. Membranoproliferative glomerulonephritis
3. Lupus nephritis
4. Glomerulonephritis related to bacterial endocarditis

Correct answer: 1. Post streptococcal glomerulonephritis

Explanation: Ans. is 'a' i.e., Post streptococcal glomerulonephritisAlthough all conditions mentioned in the question are associated with low compliment levels 'persistently depressed levels' are not seen in post streptococcal glomerulonephritis.In post streptococcal glomerulonephritis : serum C3 levels are depressed within 2 weeks, however these usually return to normal levels within 6 to 8 weeksPersistently depressed levels after this period should suggest another cause such as presence of C3 nephritic factor (Membranoproliferative glomenulonephritis) - Harrison